Which of the following represents a non deliberate cultural practice leading to anti-mosquito effect?
1. Use of alkaline detergent
2. Use of larvicidal agents
3. Use of bed nets
4. Use of repellents

Correct answer: 1. Use of alkaline detergent

Explanation: Use of alkaline detergent or soap water has a distinct anti-mosquito effect, as mosquitoes do not grow in water with alkali. Since most soaps and detergents are alkali based, use of soaps and detergents have a non-deliberate anti-mosquito effect. Ref: Preventive and Social Medicine, by K.Park, 19th Edition, Page 626-628 and 20th Edition, Page 676